Phosphorylation of phosphofructokinase and fructose-1,6-bisphosphate by fructose-2,6-bisphosphate regulation is seen in
1. Brain
2. Liver
3. Adrenal Cortex
4. RBC

Correct answer: 2. Liver

Explanation: Fructose-2,6-bisphosphate (F-2,6-BP) increases the activity of phosphofructokinaseF-2,6-BP is formed from fructose-6-phosphate by the action of an enzyme called PFK-2. (It is different from the PFK1)Fructose-2,6bisphosphate is hydrolysed to fructose-6phosphate by fructose-2,6-BisphosphataseThe activities of both the enzymes (PFK2 and fructose-2,6-bisphosphatase) are reciprocally regulated.When glucose supply is in plenty, PFK-2 is dephosphorylated and activated; so F2,6-BP concentration increases; this, in turn, activates PFK. Thus glycolysis is favored Ref: DM Vasudevan, 6th edition, page no: 98-99